All of the following are parts of optic nerve except
1. Intraorbital Part
2. Intracanlicular Part
3. Cisternal Segment
4. Intra cavernal Part

Correct answer: 4. Intra cavernal Part

Explanation: Answer- D. Intra cavernal PaOptic nerve is about 47-50 mm in length and can be divided into 4 parts :Intraocular part (l mm)Intraorbital part (30 mm)Intracanalicular part (6-9 mm)Intracranial part (10 mm)